Beefy red, foul smelling genital granuloma with a bleeding ulcer on touch is seen in -
1. LGV
2. Chancroid
3. Primary syphilis
4. Donovanosis

Correct answer: 4. Donovanosis

Explanation: Donovanosis is caused by Klebsiella granulomatis. It's morphology is that it is a single(sometimes multiple) asymptomatic ulcer. Floor is made of beefy , exuberant, granulation tissues that bleeds on manipulation. From illustrated synopsis of dermatology and sexually transmitted diseases neena khanna 5th edition page no 329